In normal X-ray of shoulder which is superior most structure -
1. Greater tubercle
2. Surgical neck of humerus
3. Coracoid process
4. Head of humerus

Correct answer: 3. Coracoid process

Explanation: Ans. is 'c' i.e., Coracoid processo From superior to inferior (important structure on X-ray sholder) Clavicle : Acromian : Coracoid : Superior margin of humeral head : greater tuberc le : anatomical neck : surgical neck.